Eosinophilic pneumonia caused by ascaris lumbricoides is known as?
1. Mafucci syndrome
2. Loeffers syndrome
3. Primary pulmonary eosinophilia
4. Sweet syndrome

Correct answer: 2. Loeffers syndrome

Explanation: Ans. (b) Loeffer's syndromeRef: Harrison's 17/e, chapter 210, Thoracic imaging: pulmonary and cardiovascular radiology